The sequential steps in waste management includes
1. Segregation, deformation, decontamination, containment, disposal
2. Segregation, decontamination, containment, disposal
3. Segregation, decontamination, containment, deformation, disposal
4. Segregation, decontamination, deformation, disposal, containment

Correct answer: 2. Segregation, decontamination, containment, disposal